In topical fluoride application, maximum benefit is
derived when the tooth surface is treated for:
1. 15 seconds
2. 30 seconds
3. 1 minute
4. 4 minutes

Correct answer: 4. 4 minutes